Exanthema is caused by which drug ?
1. Phenytoin
2. Valproate
3. Digoxin
4. NTG

Correct answer: 1. Phenytoin

Explanation: Ans. is 'a' i.e., Phenytoin